Human colostrum contains more of the following nutrients than mature human milk, except –
1. Lactose
2. Minerals
3. Proteins
4. Vitamin A

Correct answer: 1. Lactose

Explanation: Sugar is less in clostrum.